Basic abnormality in a case of nephrotic syndrome is:
1. Hyperlipidemia
2. Proteinuria
3. Pedal edema
4. Hypertension

Correct answer: 2. Proteinuria

Explanation: Ans. B: ProteinuriaNephrotic syndrome (NS)/ nephrosis is defined by the presence of nephrotic-range proteinuria, edema, hyperlipidemia, and hypoalbuminemia.Heavy proteinuria (more than 1 gm/metre square per day) is the basic abnormality leading to the hypoalbuminemia (serum albumin below 2.5 g/ dL)